Precocious puberty in a girl is defined as breast development before the age of?
1. 6 years
2. 8 years
3. 12 years
4. 10 years

Correct answer: 2. 8 years

Explanation: Precocious puberty: Precocious puberty is defined by the onset of secondary sexual characteristics before the age of 8 years in girls and 9 years in boys.